Atopic dermatitis can be best diagnosed by
1. Clinical evaluation
2. Patch test
3. IgE level
4. Skin Biopsy

Correct answer: 1. Clinical evaluation

Explanation: Atopic dermatitis best diagnosed by Clinical evaluation. The diagnosis of atopic dermatitis is rarely aided by investigations. Estimation of total serum IgE, specific radio- allergosorbent tests (RASTs) and prick tests usually serve only to confirm the atopic nature of the individual. Patch testing may also help to identify a contact allergen responsible for deterioration of the skin condition, particularly in adults.